The MOST common cause of tricuspid regurgitation is secondary to:
1. Rheumatic heart disease
2. Dilatation of right ventricle
3. Coronary artery disease
4. Endocarditis due to intravenous drug abuse

Correct answer: 2. Dilatation of right ventricle

Explanation: All mentioned condition are causes of tricuspid regurgitation. Most commonly, TR is secondary to marked dilation of the tricuspid annulus from RV enlargement due to PArt hypertension. Ref: Harrisons principles of internal medicine, 18th edition, Page 1948.